A patient at 22 weeks gestation is diagnosed as having IUD which occurred at 17 weeks but did not have a miscarriage. The patient is at increased risk of :
1. Septic abortion
2. Future infertility
3. Consumptive coagulopathy with hypofibrinogenemia
4. Ectopic pregnancy

Correct answer: 3. Consumptive coagulopathy with hypofibrinogenemia

Explanation: Dead fetus if retained for more than 4-5 weeks, release thromboplastin which leads to DIC Ref: Datta Obs 9e pg 304.